Lens dislocation in marfans syndrome is -
1. Superotemporal
2. Inferonasal
3. Forward
4. Backward

Correct answer: 1. Superotemporal

Explanation: Ans. is 'a' i.e., Superotemporal DiseaseTypical Jens dislocationo Marfan syndromeo Homocystinuriao Weil-Marchesam syndromeSuperotemporalInferonasaiForward